Cholesterol level for prevention of coronary artery disease-
1. < 250 mg\/dl
2. < 220 mg\/dl
3. < 300 mg\/dl
4. < 200 mg\/dl

Correct answer: 4. < 200 mg\/dl

Explanation: to prevent CAD the cholesterol levels must be below 200 mg per dl